Which of the following is most Likely to be fatal?
1. Osteochondroma
2. Giant cell tumour
3. Paget's disease
4. Multiple myeloma

Correct answer: 4. Multiple myeloma